All are features of hypermagnesemia except?
1. Hypotension
2. Ileus
3. Tetany
4. Decreased DTR

Correct answer: 3. Tetany

Explanation: Hypermagnesemia leads to inhibition of PTH release as well as inhibits calcium absorption from calcium sensitive receptor The resultant calcium depletion leads to vasodilation and neuromuscular blockade. The vasodilatation explains the hypotension and neuromuscular blockade explains ileus and decreased DTR.